The following is true for ‘Live Vaccines’ EXCEPT
1. Two live vaccines cannot be given simultaneously
2. Live vaccines should not be administered to a patient of Leukemia
3. Live vaccines engage certain tissues of the body
4. With an exception, immunization is generally achieved with a single dose of live vaccine

Correct answer: 1. Two live vaccines cannot be given simultaneously